Proteolytic enzyme Renin is present in?
1. Lungs
2. Kidney
3. Liver
4. Stomach

Correct answer: 2. Kidney

Explanation: ANSWER: (B) KidneyREF: Guyton 11th ed page 223, Gray's anatomy 39th ed page 1192Indirect repeat Physiology 2003Renin is a protein enzyme released by the kidneys when the arterial pressure falls too low. Renin itself is an enzyme, not a vasoactive substance. Renin acts enzymatically on another plasma protein, a globulin called renin substrate (or angiotensinogen), to release a 10-amino acid peptide, angiotensin I. Hence it is a proteolytic enzyme,